Arsenic is useful in the treatment of :
1. Acute promyelocytic leukemia
2. Myelodysplastic syndrome
3. Transient myeloproliferative disorder
4. All of the above

Correct answer: 1. Acute promyelocytic leukemia